Crusted scabies is caused by sarcoptis scabei Ivermectin is used to treat it. It acts by following neurotransmitter -
1. Acetylcholine
2. Adrenaline
3. Noradrenaline
4. GABA

Correct answer: 4. GABA

Explanation: Ans. is 'd' i.e., GABA o Ivermectin acts through a special type of glutamate gated Cl- channel. Potentiation of GABAergic transmission has also been observed.